Drugs used in Bipolar Disorder
1. Benzodiazepines
2. Lithium
3. Sodium valproate
4. All of the above

Correct answer: 4. All of the above

Explanation: (D) All of the above # LITHIUM is effective in treating acute manic episodes and preventing relapses and is also an effective treatment for bipolar depression.> Anticonvulsants used are: Carbamazepine effectively treats manic episodes. Now sodium valproate has become a commonly prescribed treatment, and is effective in treating manic episodes.> Lamotrigine has greatest benefit in depression component of bipolar disorder. Topiramate is also useful intreatind bipolar disorder.> Anticonvulsants may be used in combination with lithium.> Anti psychotic mediactions like Olanzapine is effective in preventing relapses.> Short courses of benzodiazepines may be used in addition to other medications until mood stabilizing become effective.